Which are the most commonly fractured ribs during Cardio Pulmonary Resuscitation?
1. 1st & 2nd rib
2. 2nd-7th rib
3. 7th-10th rib
4. 10th_12th rib

Correct answer: 2. 2nd-7th rib

Explanation: ANSWER: (B) 2nd -7th ribREF: Forensic Pathology Reviews vol 1 by Michael Tsokos 2004 page 297To the forensic and clinical pathologist the most common and well-known sign of external heart massage are superficial dermal abrasions above the sternum stemming from the hands of the person performing cardiac massage. Although these minor injuries of course do not have any forensic relevance, fractures of ribs and/or sternum cannot always be avoided during cardiac massage, particularly in elderly patients having a rigid thorax. The most common regions of fractures are ribs 2-7 on the left and 2-6 on the right side, respectively. According to the literature, the frequency of rib fractures as a sequel of cardiac massage varies from 19 to 80% and that of sternal fractures from 0 to 47%. In persons of higher age, an increase of fracture frequency is described unanimously. These thoracic fractures may lead to lung contusion or, in some cases, even to more severe lesions of the lung